A thoracic surgeon removed the right middle lobar (secondary) bronchus along with lung tissue from a 57-year-old heavy smoker with lung cancer. Which of the following bronchopulmonary segments must contain cancerous tissues?,
1. Medial and lateral
2. Anterior and posterior
3. Anterior basal and medial basal
4. Anterior basal and posterior basal

Correct answer: 1. Medial and lateral

Explanation: The right middle lobar (secondary) bronchus leads to the medial and lateral bronchopulmonary segments in middle lobe of right lung . RIGHT lung contains two fissures and 3 lobes -Superior(upper), Middle and Inferior (lower) LOBES SEGMENTS Right upper lobe Apical segment Anterior segment Posterior segment Middle lobe Lateral segment Medial segment Lower lobe Apical segment Anterior basal Posterior basal Medial basal Lateral basal